A patient with this condition , presents with retraction of eye lid on chewing. This represents
1. Abducent palsy
2. Third nerve misdirection syndrome
3. Marcus gunn Jaw winking syndrome
4. Oculomotor palsy

Correct answer: 3. Marcus gunn Jaw winking syndrome

Explanation: Marcus gunn Jaw winking syndrome Marcus Gunn Jaw Winking Ptosis is a congenital ptosis Associated with synkinetic movements of upper lid on masticating movements of the jaw. It is usually unilateral but rarely presents bilaterally. Affects males and females in equal proportion . Etiology This synkinetic movement results from a congenital aberrant connection between motor branches of trigeminal nerve controlling muscles of mastication and superior division of oculomotor nerve controlling the levator palpebrae superioris Ref : ak khurana 7th ed